A 42-year-old man is feeling chronically fatigued. His hemoglobin is 11.5 g/dL, and the blood film is hypochromic and microcytic. The serum iron is increased, total iron-binding capacity (TIBC) is normal, ferritin is increased, and HbA2 is decreased.For the above patient with a hypochromic microcytic anemia, select the most likely diagnosis
1. iron deficiency anemia
2. beta-thalassemia trait
3. anemia of chronic disease
4. sideroblastic anemia

Correct answer: 4. sideroblastic anemia

Explanation: Sideroblastic anemia is associated with an increased serum iron and ferritin. TIBC is generally normal. HbA2 is usually decreased.